HPV belongs to -
1. Papovavirus
2. Parvovirus
3. Herpesvirus
4. Poxvirus

Correct answer: 1. Papovavirus

Explanation: Human papillomavirus belongs to papovaviridae family.

DNA viruses
Poxviridae :- Variola, vaccinia, cowpox, monkeypox, tanapox, molluscum contagiosum
Herpesviridae :- HSV-l, HSV-2, varicella-zoster, EBV, CMV, HTLV-l
Adenoviridae :- Adenovirus
Parvoviridae :- Parvovirus, Adenosatellovirus, Densovirus
Papovaviridae :- Papilloma virus (HPV), Polyomavirus
Hepadnaviridae :- Hepatitis-B virus